which of folloing is a disadvantage of mirtazapine
1. seizures
2. cheese reaction
3. dyslipedima
4. pre mature ejaculation

Correct answer: 3. dyslipedima

Explanation: NaSSA * IMPORTANCE Nor adrenergic and specific serotonergic antidepressant * MECHANISM * Alpha 2 adrenergic receptor antagonism=== increase serotonin and NA * 5HT2,3 antagonist============increase sleep and appetite * DRUGS mirtazapine * USE Elderly with depression * SIDE EFFECTS hyperlipidemia Ref. kaplon and sadock, synopsis of psychiatry, 11 th edition , pg no 955